In Peutz-Jegher's syndrome, polyps are seen in:
1. Anus
2. Rectum
3. Small bowel
4. Stomach

Correct answer: 3. Small bowel

Explanation: Ans. C i.e. Small bowel